Childhood malignancy producing proptosis is/are:
1. Neuroblastoma
2. Chloroma
3. Optic nerve glioma
4. All

Correct answer: 4. All

Explanation: A. i.e. Neuroblastoma B. i.e. chloroma C. i.e. Optic nerve glioma Proptosis in children is usually caused by dermoid & eidermoid cysts, capillary haemangiomas, optic nerve glioinaQ, rhabdomyosaroma, leukaemias, metastatic neuroblastomaQ, plexiform neurofibromatosis, and lymhangiomas In adult common causes are metastasis (from breast, lung, gitract), cavernous hemangioma, mucoceles, lacrimal gland tumors, lymphoid tumors and meningiomas. Tumors producing proptosis include lymphoma, lymphosarcoma, secondaries from neuroblastoma, nephroblastoma (Wilm's tumor)Q, Ewings sarcoma, and leukemic infiltrates (chloroma)Q- Khurana Retinoblastoma causes enlargement of globe, with apparent or real proptosisQ.